Coronary aneurysm seen in:
1. Kawasaki disease
2. Polyarteritis nodosa
3. Syphilis
4. SLE

Correct answer: 1. Kawasaki disease

Explanation: (Kawasaki disease): Ref: 2012 - H (2130-H17th)Kawasaki Disease (Mucocutaneous lymphnodes) -* Acute, febrile, multisystem disease of children, some 80% of cases occur prior to age of 5, with peak incidence occurring at < 2 years* Generally benign and self limited* Non suppurative cervical adenitis and changes in the skin and mucous membranes* Coronary aneurysm in approximately 25% of cases* Other manifestations pericarditis, myocarditis, MI and cardiomegaly* IV Y globulin is treatment of choicePAN* Classic PAN involves only medium sized vessels (especially mesenteric vessels, including renal arteries), but sometimes small arterioles involvements* Common symptoms and sign include fever and other constitutional symptoms, abdominal pain, livedo reticularis, mononeuritis multiplex, anemia, elevated ESR* Classic PAN is often associated with hypertension but spares the lung.* Aortic aneurysm is associated with syphilis